A psychiatric patient taking medication develops a tremor, thyroid enlargement and leucocytosis. Drug implicated is
1. Clomipramine
2. Haloperidol
3. Lithium
4. Olanzapine

Correct answer: 3. Lithium

Explanation: Tremor is one of the most common adverse effects of lithium treatment, and it occurs with therapeutic doses.Lithium probably decreases thyroid function in most patients exposed to the drug,Leukocytosis is always present during lithium treatment, probably reflecting a direct effect on leukopoiesis rather than mobilization from the marginal pool.Polydipsia and polyuria, Edema are other adverse effectsReference: Katzung Pharmacology; 12th edition; Page no: 517